Which of the following conditions causes alopecia without scarring -
1. DLE
2. Herpes Zoster
3. Alopecia areata
4. Lichen planus pilaris

Correct answer: 3. Alopecia areata

Explanation: Causes of cicatricial alopecia: -Discoid lupus erythematosus and morphea - developmental /hereditary : aplasia cutis -traumatic, post radiation -herpes zoster,inflammatory tinea capitis and bacterial infections -lichen planopilaris - neoplastic disorders Ref Harrison20th edition pg 1236